Delirium and dementia can be differentiated by:
1. Loss of memory
2. Apraxia
3. Delusion
4. Altered sensorium

Correct answer: 4. Altered sensorium

Explanation: Please remember that the hallmark of delirium is disturbance of consciousness (altered sensorium) whereas in dementia, there is no disturbance of consciousness. DELIRIUM DEMENTIA Onset Sudden onset Insidious onset Consciousness Disturbed NO Disturbance Course Fluctuating Course Progressive course